Plasma protein bound drug distributed in which compartment ?
1. Extracellular
2. Intravascular
3. Interstitial
4. Extravascular

Correct answer: 2. Intravascular

Explanation: Ans. is 'b' i.e., Intravascular Clinical significance of protein binding: High plasma protein bound drugs are largely restricted to the vascular compartment and tend to have lower volume of distribution. The bound fraction is not available for action. High degree of protein binding generally makes the drug long acting, because bound fraction is not available for metabolism or excretion, unless it is actively excreted by liver or kidney tubules. 1n nephrotic syndrome and other conditions causing hypoproteinemia, protein binding will be altered. 5.Highly protein bound drugs are not removed by haemodialysis and need special techniques for treatment of poisoning. Protein bound drugs can give rise to displacement interactions : In hypoalbuminemia, binding may be reduced and high concentrations of free drug may be attained, e.g. phenytoin and furasemide.